All of the following can cause DIC during pregnancy except.
1. Diabetes mellitus
2. Amniotic fluid embolism
3. Intrauterine death
4. Abruptio placentae.

Correct answer: 1. Diabetes mellitus

Explanation: Causes of DIC are abruptio placenta,intrauterine feral death, amniotic fluid embolism,severe preeclampsia,septic abortion,chorioamnionitis. reference:Mudaliar and Menon's clinical obstetrics,12th edition,page no;424.